Volkmann's contractrue:
1. Is localized thickening of palmar fascia
2. Develops at the ankle in a case of chronic venous ulcer
3. Follows Ischaemia of the forearm
4. Is due to excessive scarring of the skin of the arm following a burn.

Correct answer: 3. Follows Ischaemia of the forearm

Explanation: C i.e. Follows ischemia of forearm